A 26yr old female presented with complaints of coloured
halos, matted and sticky eyelids since 3 days. On examination,
visual acuity was normal. Most common organism causing
this condition is
1. Gonococcus
2. Pneumococcus
3. Staphylococcus aureus
4. Streptococcus hemolyticus

Correct answer: 3. Staphylococcus aureus

Explanation: The Clinical scenario gives the diagnosis of Acute mucoopurulent conjunctivitis which is most commonly caused by Staphylococcus aureus.